Isovolumetric relaxation is defined as
1. Relaxation of both atria
2. Relaxation of both atria with all valves open
3. Relaxation of LV with mitral & aortic valve closed
4. All of the above

Correct answer: 3. Relaxation of LV with mitral & aortic valve closed

Explanation: ‘Isovolumetric’ means the volume remains same. That occurs only when both the valves are closed.